Drugs which does not cause hemolysis in G6PD deficiency is
1. Primaquine
2. Dapsone
3. Corticosteroids
4. Methylene blue

Correct answer: 3. Corticosteroids

Explanation: Ref-KDT 7/e p66 Too little G6PD leads to the destruction of red blood cells. This process is called hemolysis.Red blood cell destruction can be triggered by infections, certain foods (such as fava beans), and certain medicines, including: Antimalarial medicines such as quinine.